Human chorionic gonadotrophin shares structural similarity with all except
1. FSH
2. GH
3. LH
4. TSH

Correct answer: 2. GH

Explanation: Amino acid sequence of α - subunit of hcG is identical in FSH, LH and TSH.